Heerfordt's syndrome does not include
1. Fever
2. Parotitis
3. 6th Cranial nerve palsy
4. Uveitis

Correct answer: 3. 6th Cranial nerve palsy

Explanation: Heerfordt's syndrome ( Uveoparotid fever) includes facial nerve palsy, not 6th Cranial nerve palsy.